Mean incubation period for primary syphilitic chancre is
1. 1 week
2. 2 weeks
3. 3 weeks
4. 4 weeks

Correct answer: 3. 3 weeks

Explanation: Mean incubation period is 3 weeks.